A 59-year-old woman has discomfort in the posterior part of her tongue. A biopsy confirms that the lesion is a carcinoma. What is true in carcinoma of the posterior third of the tongue?
1. Lymphoid tissue is absent.
2. Lymph gland spread is often encountered.
3. There is an excellent prognosis.
4. The tissue is well differentiated.

Correct answer: 2. Lymph gland spread is often encountered.

Explanation: Carcinoma of the posterior third of the tongue is often detected late and carries a worse prognosis. Posterior-third tongue tumors are also called lymphoepitheliomas. These lesions can be poorly differentiated.